Race of an individual can be found out by
1. Ischiopubic index
2. Corporo Basal index
3. Cephalic index
4. Medullary index

Correct answer: 3. Cephalic index

Explanation: Cephalic index helps to find the race